Increasing severity of intellectual disability of male members over generations is a result of ?
1. Mitochondrial DNA mutation
2. Frameshift mutation
3. Y linked disorder
4. Trinucleotide repeat mutation

Correct answer: 4. Trinucleotide repeat mutation

Explanation: Ans. is 'd' i.e., Trinucleotide repeat mutation